Which of the following is not associated with panic disorder?
1. Agoraphobia
2. Anticipatory anxiety
3. Panic attacks
4. Flash backs

Correct answer: 4. Flash backs

Explanation: Flashbacks are not characteristic of panic disorder they are characteristic of PTSD. Post-traumatic stress disorder is characterized by: Flashbacks Hyperarousal Nightmares Avoidance It typically happens within 6 months of exposure to a life-threatening event.